Drug effect mimicking ''Schizophrenia' includes
1. Barbiturates
2. Cocaine
3. Phencyclidine
4. Levodopa

Correct answer: 3. Phencyclidine

Explanation: (C) Phencyclidine # PHENCYCLIDINE is an NMDA receptor antagonist also acts as a D2 receptor partial agonist. It induces symptoms that mimic schizophrenia. Amphetamines trigger the release of dopamine and excessive dopamine function is believed to be responsible for many symptoms of schizophrenia.> Cannabis use is also suspected to contribute to the hyperdopaminergic state that is characteristic of schizophrenia.> Drugs such as ketamine, Phencyclidine (PCP), and Lysergic acid diethylamide (LSD) have been used to mimic schizophrenia for research purposes.> Alcohol abuse via a kindling mechanism can occasionally cause the development of a chronic substance induced psychotic disorder, i.e. schizophrenia.